Benzodiazepine without anticonvulsant property is?
1. Nitrazepam
2. Diazepam
3. Clonazepam
4. Temazepam

Correct answer: 4. Temazepam

Explanation: Ans. is 'd' i.e., Temazepam BZDs with significant anticonvulsant property are diazepam, clonazepam, nitrazepam, lorazepam and flurazepam.